Left border of heart on chest X-ray is formed by:
1. Aortic arch
2. Left Pulmonary artery
3. Left ventricle
4. All

Correct answer: 4. All

Explanation: A i.e. Aortic arch; C i.e. Left ventricle; B i.e. Left Pulmonary artery